External manifestations of lines of Retzius which are present as transverse wave line groove are called as:
1. Incremental line of Von Ebner.
2. Incremental line of Owen.
3. Perikymata.
4. Enamel cuticle.

Correct answer: 3. Perikymata.

Explanation: Perikymata is the external manifestation of lines of retzius.